Nucleus pulposus is a remnant of
1. Notochord
2. Intervertebral disc
3. Spinal cord
4. Spinous process

Correct answer: 1. Notochord

Explanation: Inderbir Singh&;sHuman embryologyTenth edition Pg 60 As the embryo enlarges the notochord elongates considerably and lies in the midline in the position to be later occupied by vertebral columnHowever, notochord does not give rise to vertebral columnMost of it disappears but parts of it persist in the region of each intervertebral disc as nucleus pulposus